The most common cause of secondary hypertension in children is –
1. Renal artery stenosis
2. Renal disease
3. Systemic Vasculitis
4. Adrenal Tumours

Correct answer: 2. Renal disease